About iliolumbar ligament, which of the following statements is false
1. A) It is attached to transverse process of L5
2. B) Attached to the iliac crest
3. C) Lower part has attachment to Sacrospinous Ligament
4. D) Upper part has attachment to Quadratus Lumborum

Correct answer: 3. C) Lower part has attachment to Sacrospinous Ligament

Explanation: iliolumbar ligament is a strong, triangular ligament, extending from the thick transverse process of the fifth lumbar vertebra to the posterior part of the inner lip of the iliac crest. It is continuous with the middle and anterior layers of the thoracolumbar fascia and gives partial origin to the quadratus lumborum. It is covered anteriorly by the psoas, and posteriorly by the erector spinae. It prevents anteroinferior slipping of the fifth lumbar vertebra under the influence of body weight, and also prevents forwards movement at the sacroiliac joint. sacrospinous ligament bind the sacrum to the ischium. Ref:- BD chaurasia volume 2, pg num:-396,397